Toxoplasmosis in the foetus can be best confirmed by-
1. IgM antibodies against Toxoplasma in the mother
2. IgM antibodies against Toxoplasma in the foetus
3. IgG antibodies against Toxoplasma in the moter
4. IgG antibodies against Toxoplasma in the foetus

Correct answer: 2. IgM antibodies against Toxoplasma in the foetus

Explanation: IgM can be detected within the first 2 weeks of infection using the ISAGA or ELISA methods. .Women who are positive for IgG and negative for IgM are defined as immune and no further follow-up is necessary, because their fetuses are not at risk of congenital toxoplasmosis Ref Harrison20th edition pg 1312